Treatment of H. pylori is required in all of the following expect ?
1. Gastro esophageal reflex disease
2. Gastric ulcers
3. Duodenal ulcers
4. Gastric lymphoma

Correct answer: 1. Gastro esophageal reflex disease